Heart failure cells are found in -
1. Myocardium
2. Lungs
3. Liver
4. Spleen

Correct answer: 2. Lungs